A 49 year old female presented with postmenopausal bleeding found to have growth in uterine cavity on sonography. On surgery, the growth is large, multicystic, and exceeds 10 cm in diameter. Granulosa cell tumour is suspected. To distinguish from other tumors, granulosa cell tumor shows:
1. Call exner bodies
2. Asbestos bodies
3. Amyloid body
4. None of the above

Correct answer: 1. Call exner bodies

Explanation: Microscopic examination of granulosa cell tumor shows predominantly granulosa cells with pale, grooved, "coffee bean" nuclei. The characteristic microscopic feature is the Call-Exner body--a rosette arrangement of cells around an eosinophilic fluid space. Menometrorrhagia and postmenopausal bleeding are common signs and reflect a prolonged exposure of the endometrium to estrogen. Similarly, breast enlargement and tenderness are common associated complaints. Tumor markers, inhibin B seems to be more accurate than inhibin A. Ref: Wyatt C., Butterwoh IV J.F., Moos P.J., Mackey D.C., Brown T.G. (2008). Chapter 17. Pathology of the Male and Female Reproductive Tract and Breast. In C. Wyatt, J.F. Butterwoh IV, P.J. Moos, D.C. Mackey, T.G. Brown (Eds), Pathology: The Big Picture.